Amyotrophic lateral sclerosis is associated with?
1. ATM gene
2. SOD1 gene
3. NF2 gene
4. HIF - 1 gene

Correct answer: 2. SOD1 gene

Explanation: Amyotrophic lateral sclerosis is associated with copper zinc superoxide dismutase gene mutation(SOD 1).